Most common cause of bilateral internuclear ophthalmoplegia is
1. Quinine toxicity
2. Diphtheria
3. Multiple sclerosis
4. Diabetes mellitus

Correct answer: 3. Multiple sclerosis

Explanation: U/L INO - Diabetes mellitus.
B/L INO - Multiple sclerosis.